Which of these is not a feature of Bronchiectasis?
1. Tree in bud appearance
2. Upper lung fields are commonly involved in cystic fibrosis
3. Oral glucocorticoids are given for central bronchiectasis of ABPA
4. Non-tuberculous mycobacteria involve the lower lobes

Correct answer: 4. Non-tuberculous mycobacteria involve the lower lobes

Explanation: Bronchiectasis Upper lung fields are commonly involved in cystic fibrosis- commonly involved in infections Oral Glucocorticoids are given for central bronchiectasis of ABPA NTM involve mid zone. HRCT Tram track appearance Signet ring appearance Tree in bud appearance Rx Antibiotic for 10-14 days. NTM infection:Macrolide withrifampin and ethambutol Hydration Mucolytic : Dornase (DNase)-Only for CF-related bronchiectasis Bronchodilator Hypertonic saline Chest physiotherapy Pulmonary rehabilitation Refractory cases: Resection of a focal area Lung transplantation.